AVN is seen in which type of # of femur-a) Intertrochantric #b) Subcapital #c) Trans cervical #d) Basal #
1. bcd
2. acd
3. ac
4. bd

Correct answer: 1. bcd

Explanation: AVN occurs after fracture at all three sites, but at different frequency.
Here the examiner is not asking about most common site of fracture which causes AVN and the question is of PGI chandigarh, where more than one options can be correct.